The co-enzyme required for the synthesis of fatty acid synthesis:
1. FAD
2. FADH2
3. NAD
4. NADPH2

Correct answer: 4. NADPH2

Explanation: Ans. D. NADPH2 Importance of NADPH:Biosynthesis of fatty acids and steroids.Detoxification of drugs by hydroxylation.Preserve integrity of RBC membrane.